A morbid patient unlikely to survive 24 hours with or
without surgery is classified as
1. ASA I
2. ASA III
3. ASA V
4. ASA VI

Correct answer: 3. ASA V